Pleural calcification is seen commonly in
1. Silicosis
2. Asbestosis
3. Hyperparathyroidism
4. Bronchogenic carcinoma

Correct answer: 2. Asbestosis